Collimators in X ray Department are used to:
1. Reduce the radiation beam spread.
2. Filter the radiation beam.
3. Increase film latitude.
4. Decrease film latitude.

Correct answer: 1. Reduce the radiation beam spread.

Explanation: Cones and Collimators are Lead Plates which prevent dispersion of X ray beam and give direction to the X ray Beam.